Barrier method
1. Hormonal contraceptive
2. IUD
3. Condom
4. Sterilization

Correct answer: 3. Condom

Explanation: Barrier methods includes Physical, Chemical and Combined methods Physical methods include Condom, Diaphragm and Vaginal sponge Chemical methods include Foams, Creams, Suppositories and Soluble films Reference : Park's textbook of preventive and social medicine, 23rd edition, Page no: 494, 495